Bird of Prey" sign is seen in the radiographic barium examination of:
1. Gastric volvulus
2. Intussusception
3. Sigmoid volvulus
4. Caeca! volvulus

Correct answer: 3. Sigmoid volvulus

Explanation: Sigmoid volvulus